Which of the following statement about Q fever is false-
1. Highly infectious zoonotic disease
2. The mode of transmission is by inhalation
3. Arthropods are involved in its transmission to man
4. There is no rash or local lesion

Correct answer: 3. Arthropods are involved in its transmission to man

Explanation: Q fever:- Highly infectious zoonotic disease with world wide distribution. Occurs mainly in persons associated with sheep, goat ,cattle etc. Causative agent-Coxiella burnetti. It is found in ticks which act as vectors as well as reservoirs. Animal host- cattle,sheep, goat, ticks etc. The placenta of infected cows and sheep contain infectious agent which may create infectious aerosols during parturition. Mode of transmission:- No arthropod involved in transmission. Inhalation of infected dust from soil previously contaminated by urine/feces of diseased animals. The organism can also be transmitted through aerosols. Also gain entry through abrasions,conjunctivae or ingestion of contaminated foods. Incubation period-2-3 weeks. Clinical features-fever chills, general malaise and headache. The clinical picture is one of influenza/ non bacterial pneumonia. No rash / local lesions. The infection can cause pneumonia, encephalitis, endocarditis. Treatment- doxycycline (18 months) Pasteurisation/ boiling of milk. Adequate disinfection and disposal of products. Inactivated Coxiella vaccine has been prepared to protect occuppationally exposed workers. {Reference: park's textbook of preventive and social medicine, 23rd edition, pg no.301}